Fat necrosis occurs in -
1. Omentum
2. Brain
3. Heart
4. Kidney

Correct answer: 1. Omentum

Explanation: Ans. is 'a' i.e., Omentum o Repeat from previous sessions.